Which of the following drug is not categorized under anti-VEGF agents?
1. Sunitinib
2. 5-Fluorouracil
3. Ranibizumab
4. Bevacizumab

Correct answer: 2. 5-Fluorouracil

Explanation: DRUGS INHIBITING VEGF PATHWAY Vascular Endothelial Growth Factor pathway is involved in causing angiogenesis. Drugs inhibiting this pathway are used as anti-angiogenic drugs. 5- Fluorouracil is not a anti VEGF agent.